Nucleoside reverse transcriptase inhibitors are : a) Zalcitabine b) Delavirdine c) Nevirapine d) Stavudine e) Ritonavir
1. cd
2. ad
3. bc
4. be

Correct answer: 2. ad